HLA B27 is associated with all except-a) Ankylosing spondylitisb) Pernicious anemiac) Behcet's syndromed) Reiter's sydrome
1. a
2. c
3. bc
4. ad

Correct answer: 3. bc